Which of the following vaccine is contraindicated in children with egg allergy
1. Yellow fever
2. MMR
3. TT
4. OPV

Correct answer: 1. Yellow fever

Explanation: Vaccines C / I in egg allergy
a. yellow fever vaccine  
b. Rabies Flury vaccine
c. Influenza vaccine